The karyotype of a patient with Androgen Insensitivity Syndrome is:
1. 46XX
2. 46XY
3. 47XXY
4. 45X0

Correct answer: 2. 46XY

Explanation: Androgen Insensitivity Syndrome is the largest single entity that leads to 46, XY undermasculinization. AIS is divided into three categories that are differentiated by the degree of genital masculinization: Complete Androgen Insensitivity Syndrome (CAIS) is indicated when the external genitalia is that of a normal female, Mild Androgen Insensitivity Syndrome (MAIS) is indicated when the external genitalia is that of a normal male, and Partial Androgen Insensitivity Syndrome (PAIS) is indicated when the external genitalia is partially, but not fully masculinized. Ref:Kligman, Behrman, Jenson, Stanton (2008), Chapter 589, "Disorders of Sex Development", In the book, "Nelson's Textbook of Pediatrics", Volume 2, 18th Edition, New Delhi, Page 1164